Condom vending machine at petrol pump in high prevalence area is example of:-
1. Appropriate technology
2. Social marketing
3. Socialization
4. Community participation

Correct answer: 2. Social marketing

Explanation: Social marketing Concept: Seeks to develop and integrate marketing concepts with other approaches to influence behaviors that benefit individuals and communities for the greater social good - Social marketing seeks to influence social behaviors not to benefit the marketer, but to benefit the target audience and the general society Example: installation of condom vending machines at parks, pay and use toilets, railway stations, bus stations, petrol pumps, wine shops, bars, restaurants, STD/PCO booths, tea-shops, paan-shops.